Best diagnostic procedure in acute pancreatitis is:
1. CT scan
2. Ultrasound
3. MR!
4. Pipida scan

Correct answer: 1. CT scan

Explanation: Ans. CT scan